antipsychotic which has anti suicidal property is
1. clozapine
2. chlorpromazine
3. aripiprazole
4. amisulpride

Correct answer: 1. clozapine

Explanation: CLOZAPINE * Importance * First SGA * TREATMENT FOR TREATMENT RESISTANT SCHIZOPHRENIA * TOC for TD * Anti suicidal * Psychosis in parkinsonian patients Ref. kaplon and sadock, synopsis of psychiatry, 11 th edition, 935